Globi in leprosy consist of -
1. AFB + macrophages
2. neutrophils + AFB
3. Platelet plug
4. None of the above

Correct answer: 1. AFB + macrophages

Explanation: Ans. is 'a' i.e., AFB + Macrophages o The bacilli are clumped together by a lipid - like substance, the glia, these masses are known as globi.o "In clinical material from lepromatous patient they (lepra) bacilli are typically found within the macrophages in dense clump " - Greenwood 16th/e p. 210Morphology of M. lepraeo Straight or slighly curved rod.o Grant positiveo Acid fast - it is less acid fast than M. tuberculosis, so 5% H2SO4 is used for discolorization instead of 20% H2O4.o Polar bodies may be observedo The bacilli are seen singly and in groups, intracellularly or extracellularly.o Bound together by a lipid like substanceo Masses of bacilli are known aso Parallel row- of bacilli in elobi---GliaGlobiCigar bundle appearanceo Globi are seen in virchow's lepra cells or foamy cells which are large undifferentiated histiocytes.Remembero Lepra bacilli has affinity for schwann cells and R.E. cells.o M. leprae grows better in cooler tissues (the skin, peripheral nerves, anterior chamber of eye, upper respiratory tract and testis) , sparing warmer areas of skin (the axilla, groin, scalp and mid line of the back).